Best treatment for menigioma with low recurrence rate is
1. Tumour excision with cyst of dura mater removal
2. Excision surgery followed by radiotherapy
3. Chemotherapy
4. Preop embolization + Excision surgery

Correct answer: 1. Tumour excision with cyst of dura mater removal

Explanation: Surgical treatment should be, wherever possible, total excision. If this includes the site of dural attachment, the recurrence rate is less than 10 per cent. Incomplete excision of the dural attachment will result in a recurrence rate of between 20 and 30 per cent. Subtotal excision will result in 40 pet cent showing progressive growth. The role of radiotherapy is controversial and is usually reserved foumours with aggressive histological features or recurrenttumours, or where a subtotal resection has been performed. Ref:Surgery of Bailey and Love,26th edition.